A female patient presented with a firm mass of 2 x 2 cms in the upper outer quadrant of the breast. She gives a family history of ovarian carcinoma. The investigation that needs to be done to assess for mutation is :
1. p53
2. BRCA-2
3. Her 2/Neu gene
4. C-myc gene

Correct answer: 2. BRCA-2

Explanation: Ans. is 'b' BRCA 2 "In women with hereditary breast - ovarian cancer, two susceptibility loci have been identified:BRCA -1 - located on chromosome 17 andBRCA - 2 - located on chromosome 13" - Harrison, 15/e, p620